Cytochrome oxidase contains
1. Ca++
2. Cu
3. Mn
4. Zn

Correct answer: 2. Cu

Explanation: (CU) (76 - Lippincott's) (104 - HP 27th)Cytochrome oxidase (cytochroe a + a3) contains bound copper atoms, that are required for this complex reaction to occur